Glutathione peroxidase contains ?
1. Cu
2. Se
3. Fe
4. Hg

Correct answer: 2. Se

Explanation: Ans. is 'b' i.e., Se